The following are live attenuated vaccines except
1. Polio sabin vaccine
2. Schwarz measles vaccine
3. BCG vaccine
4. Pertussis vaccine

Correct answer: 4. Pertussis vaccine

Explanation: .pertussis vaccines are whole cell vaccine,or acellular vaccine.the duration of protection is 6 to 12 years following primary 3 doses .usually they are available in combinations with diphtheria toxoid,tetanus toxoid,Hib,HepB AND IPV. REF:PARK'S TEXTBOOK,ED22,PG NO 155